Which does not causes megaloblastic anemia?
1. Phenytoin
2. Chloroquine
3. Sulfasalazine
4. Alcohol

Correct answer: 2. Chloroquine

Explanation: Ans. is 'b' i.e., Chloroquine